Dissociative anaesthesia is produced by
1. Ketamine
2. Etomidate
3. Propofol
4. Thiopentone

Correct answer: 1. Ketamine

Explanation: Ans. is 'a' i.e., Ketamine Dissociative anaesthesia is characterized by profound analgesia, immobility, amnesia with light sleep and feeling of dissociation from once own body and the surroundings Cataleptic state. Ketamine (phencyclidine) induces dissociative anaesthesia.